Bleeding in DIC is most closely related to -
1. Raised fibrin degradation products level in blood
2. Prolong prothrombin time
3. Low serum fibrinogen level
4. Raised thrombin time

Correct answer: 3. Low serum fibrinogen level